Temperature and time period in hot air oven is
1. 140 degrees 1 hr
2. 160 degrees 2 hrs
3. 160 1hr
4. 140 2 hrs

Correct answer: 2. 160 degrees 2 hrs

Explanation: 160 for 2hrs or 170 for 1 hr. or 180 for 30min is temperature and time in hot air oven Hot air oven, red heat, incineration, flaming are eg for dry heat sterilization Ref: CP Baveja 4th ed Pg:30